False about cellulities
1. Caused by strep. pyogenes
2. Causes SIRS
3. Infection of subcutaneous tissue
4. Abscess if any should be managed conservatively

Correct answer: 4. Abscess if any should be managed conservatively

Explanation: .It is spreading inflammation of subcutaneous and fascial planes. Infection may follow a small scratch or wound or incision. Causative Agents : Commonly due to Streptococcus pyogenes and other Gram +ve organisms. Sequelae Infection can get localized to form pyogenic abscess. Infection can spread to cause bacteraemia, septicaemia, pyaemia. Often infection can lead to local gangrene. ref:SRB;s manual of surgery,ed 3,pg no 30